Most Radio sensitive stage –
1. S phase
2. G1phase
3. G2 phase
4. G2M phase

Correct answer: 4. G2M phase

Explanation: Most sensitive phase of cell cycle           →          G2M interphase
Most resistant phase of cell cycle            →        Late ' S ' phase